An 18-year-old presents with a well- circumscribed 2 cm mass in her right breast. The mass is painless and has a rubbery consistency and discrete borders. It appears to move freely through the breast tissue. What is the likeliest diagnosis?
1. Carcinoma
2. Cyst
3. Fibroadenoma
4. Cystosarcoma phyllodes

Correct answer: 3. Fibroadenoma

Explanation: Fibroadenomas are most often found in teenage girls. They are firm in consistency, clearly defined, and very mobile. The typical feature on palpation is that they appear to move freely through the breast tissue ("breast mouse").